Dermatophytoses in caused by -
1. Herpes simplex
2. Papilloma virus
3. Trichophyton
4. Candida

Correct answer: 3. Trichophyton

Explanation: Ans. is 'c' i.e., Trichophyton